Which of the following statements about Grave's disease is false?
1. Results in hyperthyroidism
2. Autoimmune disorder
3. Common in male
4. Referred as toxic diffuse goiter

Correct answer: 3. Common in male

Explanation: -a.k.a - Diffuse Toxic Goitre - M/C cause of endogenous hyperthyroidism -Auto immune disorder: Autoantibodies against TSH-R | | T3, |T4 | || TSH | Hyperthyroidism - M/C in females - characterised by "Violent & long continued palpitations in females" Triad: Hyperthyroidism Pre-tibial myxoedema Exophthalmos